The gene expression of which of the following enzymes is not increased by insulin?
1. Pyruvate Carboxylase
2. Acetyl CoA Carboxylase
3. Phosphofructokinase-1
4. Pyruvate Dehydrogenase

Correct answer: 1. Pyruvate Carboxylase

Explanation: Enzymes where gene expression is increased by Insulin: Enzymes where gene expression is decreased by Insulin: (usually enzymes of glycolysis, link reaction, HMP, fatty acid synthesis) Hexokinase II Hexokinase IV Phosphofructokinase-I (PFK-I), PFK-II Pyruvate Kinase Glucose 6 Phosphate Dehydrogenase (G6PD) Pyruvate Dehydrogenase Acetyl CoA Carboxylase Malic enzyme ATP Citrate Lyase FA Synthase Complex (usually enzymes of gluconeogenesis ) Phosphoenol Pyruvate Carboxylase (PEPCK) Glucose 6 Phosphatase (Gluconeogenesis) Extra Edge : Insulin Glucagon 1.activates all anabolic pathways enzymes i.e. HMP, Glycogenesis, FA synthesis, Cholesterol synthesis, TG synthesis, Lipoprotein Lipase enzyme. 2.activates two catabolic pathway enzymes i.e. Glycolysis & Link reaction. 1.activates all catabolic pathways enzymes i.e. Glycogenolysis, beta oxidation of fatty acids, Gluconeogenesis, Ketone body synthesis, Ketone body utilization. Except two catabolic pathway enzymes i.e. Glycolysis & Link reaction, as these are activated by Insulin.